Select the drug which is used exclusively in organ transplantation and autoimmune diseases, but not in cancers:
1. Cyclophosphamide
2. Cyclosporine
3. Methotrexate
4. 6-Mercaptopurine

Correct answer: 2. Cyclosporine

Explanation: CALCINEURIN INHIBITORS (Specific T-cell inhibitors) Cyclosporine Mech of action:- It inhibits T lymphocyte proliferation, IL-2 and other cytokine production as well as response of inducer T cells to IL-1. Cyclosporin binds with protein cyclophiin-A and inactivate calcineurin and the transcription of genes involved in synthesis of IL2 and T Cell activation. Cyclosporine is most active when administered before antigen exposure uses:- 1) Cyclosporin selectively suppresses cell- mediated immunity (CMI), prevents graft rejection reaction. It is routinely used in renal, hepatic, cardiac, bone marrow and other transplantations. For induction it is started orally 12 hours before the transplant and continued for as long as needed. 2) it is a second line drug in autoimmune diseases, like severe rheumatoid arthritis, uveitis, bronchial asthma, inflammatory bowel disease, dermatomyositis, etc. and in psoriasis, especially to suppress acute exacerbations. Ref:- kd tripathi; pg num:-878,880,881